Therapeutic hypothermia is of benefit in preventing neurological complications in
1. Sepsis
2. Poly-trauma
3. Cardiac arrest
4. lschemic stroke

Correct answer: 3. Cardiac arrest

Explanation: Ans. is 'c' i.e., Cardiac arrest Inducing mild therapeutic hypothermia in selected patients surviving out-of-hospital sudden cardiac arrest can significantly improve rates of long-term neurologically intact survival and may prove to be one of the important clinical advancements in the science of resuscitation. The types of medical events that hypothermic therapies may effectively treat fall into four primary categories: Cardiac arrest Ischemic stroke Trumatic brain or spinal cord injury without fever. Neurogenic fever following brain trauma